A 24 yr-old female has flaccid bullae over the skin and oral erosions. Histopathology shows intraepidermal blister with acantholytic cells. Diagnosis is:
1. Pemphigoid
2. Erythema multiforme
3. Pemphigus vulgaris
4. Dermatitis herpetiformis

Correct answer: 3. Pemphigus vulgaris

Explanation: The features of intaepidermal acantholytic blisters coupled with flacid bullae over skin and oral erosions points towards P. vulgaris. The other 3 diseases do now show intraepidermal blistering. They are devoid of mucosal involement. Erythema Multiforme: Target lesion seen on distal extremeties. If mucosa involved it is called as Epidermal Multiforme Major Dermatitis herpetiformis: Extremely pruritic vesicopapules over extensors Pemphigoid: Tense bullae